Which of the following explanations is not an explanation for decreased variability of the fetal heart tracing :
1. Fetal "sleep state"
2. Prematurity
3. Barbiturate ingestion
4. Fetal stimulation

Correct answer: 4. Fetal stimulation

Explanation: Fetal stimulation